The non-modifiable risk factor for hypertension is -
1. Obesity
2. Age
3. Salt intake
4. Environment stress

Correct answer: 2. Age

Explanation: Non modifiable risk factors for Hypertension- Age Sex Genetic factors Ethnicity Modifiable risk factors - Obesity Salt intake Saturated fat Environmental stress. Ref- Park's textbook of Preventive and Social Medicine 24th edition. .